Hay's sulpher test is used to detect w hich of the following -
1. Bile salts in urine
2. Reducing sugar in urine
3. Ketone bodies in urine
4. Urobilinogen in urine

Correct answer: 1. Bile salts in urine

Explanation: Ans. is 'a' i.e., Bile salts in urineTestsUsed foro Rothera's test (nitroprusside test)o Gerhardt's test (ferric chloride test)Ketone bodies in urine acetone and acetoacetateKetone bodies in urine acetoacetate.o Benedict's testo Fchling's testReducing sugars in urine Reducing sugars in urineo Hay's sulpher testBile salts in urineo Fouchet's (borium sulphate test)o Gmelin's (nitric acid) testo Vanden Bergh testo Ehrlich's testo Schlesinger's testBile pigment: bilirubinBile pigment: bilirubinBile pigment: bilirubinBilinogens (stercobilinogen, urobilinogen)Bilinsfstercobilin. urobilin).o Ehrlich's aldehyde testPorphobilinogen and urobilinogen in urine